Regarding bile duct injuries following cholecystectomy which of the following statement is false?
1. The incidences following open cholecystectomy is in the range of 0.2 to 0.3%
2. The incidence rate following laparoscopic cholecystectomy is three times than the rates following open cholecystectomy
3. Untreated cases may develop secondary biliary cirrhosis
4. Routine use of 'open technique of laparoscopic port insertion has resulted in a decline in the incidence of post laparoscopic cholecystectomy bile duct injuires

Correct answer: 4. Routine use of 'open technique of laparoscopic port insertion has resulted in a decline in the incidence of post laparoscopic cholecystectomy bile duct injuires

Explanation: Ans. (d) Routine use of 'open' technique of laparoscopic port insertion has resulted in a decline in the incidence of post laparoscopic cholecystectomy bile duct injuriesRef: Sabiston 19/e p l491-1492* If bile duct strictures are not managed properly patients will develop secondary biliary cirrhosis due to Obstructive jaundice and Cholangitis.* There is no difference in Open or Closed laparoscopic technique with regarding to Bile duct injuries.* Open Lap port insertion using Hassan's Cannula has reduced Major Vascular and Bowel Injuries in Laparoscopy* Here we should not get confused between Open Technique of laparoscopy and Open method of Cholecystectomy.* Open Cholecystectomy has reduced incidence of bile duct injuries compared to Lap Cholecystectomy